Wof is a limiting adverse effect of ACE inhibitors
1. Acidosis
2. Hypernatremia
3. Hypokalemia
4. Hyperkalemia

Correct answer: 4. Hyperkalemia

Explanation: Adverse effects:- By reducing aldosterone levels, ACE inhibitors decrease K + excretion in the distal nephron leading to hyperkalemia. Hyperkalaemia: more likely in patients with impaired renal function and in those taking K+ sparing diuretics, NSAIDs. Ref:- kd tripathi; pg num:-495,502